Wof is true regarding Dermatophytid reaction (Id reaction)
1. Occurs at a distant site from fungal infection
2. Immunologic in etiology
3. Id reactions are devoid of organism
4. All of the above

Correct answer: 4. All of the above

Explanation: Id Reaction (Dermatophytid reaction) * Auto eczematization; the occurrence of a dermatophyte infection that leads to a more generalized cutaneous reaction due to the inflammatory response of the host. Clinical:- : * Occurs at a distant site from the fungal infection * Dermatophytid reactions are devoid of organisms, and immunologic in etiology * Often presents as a vesicular dermatitis of the hands and feet * May evolve into a generalized scaling and eczematoid condition Treatment:- Goal is to treat the underlying dermatophyte infection, leading to resolution of the autoeczematous state Ref:- Dermatology review by Asra Ali; pg num:-363